True statement about cholstridium perfringens are all except:
1. Gas gangrene -alpha toxin is produced by type A strains and responsible for profound toxemia
2. Clostridium perfringens is not the major cause of gas gangrene
3. Present in normal feces
4. C. perfringens type C strains is responsible for necrotizing enteritis

Correct answer: 2. Clostridium perfringens is not the major cause of gas gangrene

Explanation: Causative organism of gas gangrene are Clostridium perferingens, Clostridium novgi and Clostridium septicum. Clostridium perfringens also causes food poisioning ( Type-A toxin i.e. heat labile toxin) Beta toxin type-C associates with Pigbel i.e. necrotizing enteritis.